Which of the following cytokine is associated with the development of cell-mediated immunity?
1. IL-3
2. IL-4
3. IL-5
4. IL-I2

Correct answer: 4. IL-I2

Explanation: Gamma interferon from T helper 1 CD4 + lymphocytes and IL-12 from macrophages are major stimulators of the development of a cell-mediated immune response to intracellular organisms such as tuberculosis, leishmaniasis, histoplasmosis, and many other organisms. Good to know: IL-3 is a cell growth factor produced by thymic epithelial cells and T cells to regulate different T cell differentiation processes. IL-4 is produced by T helper 2 CD4 + lymphocytes and is involved in class switching to IgE. It also down regulates T helper 1 CD4 + lymphocytes. IL-5 is produced by T helper 2 CD4 + lymphocytes and is involved in IgA production, eosinophil differentiation, and B cell differentiation. Ref: Levinson W. (2012). Chapter 58. Cellular Basis of the Immune Response. In W. Levinson (Ed), Review of Medical Microbiology & Immunology, 12e.